Which of the following type of cells give rise to macrophages?
1. Neutrophils
2. Monocytes
3. Lymphocytes
4. Reticulo endothelial cells.

Correct answer: 2. Monocytes

Explanation: Monocytes formed in the bone marrow are precursors of tissue macrophages. After an intravascular stay of 3 days, monocytes migrate from the blood into tissues. In the tissues, monocytes undergo differentiation into macrophages.